True about endotracheal intubation is -
1. It reduces normal anatomical dead space
2. It produces decrease in resistance to respiration
3. Subglottic edema is most common complication
4. All of the above

Correct answer: 1. It reduces normal anatomical dead space

Explanation: Ans- A It reduces normal anatomical dead space 1. Endotracheal intubation decreases the normal anatomical dead space (150 ml) to as less as 25 ml, thus decreases the work of breathing (WOB). 2. It increases the resistance during respiration. To keep this resistance at a minimum, WIDEST INTERNAL DIAMETER ENDOTRACHEAL TUBE that will fill in the larynx is recommended. 3. The most common complication of endotracheal intubation is apnoea .